A two months old child presents with epiphora and regurgitation. The most probable diagnosis is -
1. Mucopurulent conjunctivitis
2. Buphthalmos
3. Congenital dacryocystitis
4. Encysted mucocele

Correct answer: 3. Congenital dacryocystitis

Explanation: Presents as mild grade chronic inflammation. Epiphora develops after 7 days of birth and regurgition test is positive. Causes of epiphora are any that cause either overproduction of tears or decreased drainage of tears, resulting in tearing onto the cheek. This can be due to ocular irritation and inflammation (including trichiasis and entropion) or an obstructed tear outflow tract which is divided according to its anatomical location (i.e. ectropion, punctal, canalicular or nasolacrimal duct obstruction). The latter is often due to aging (a spontaneous process), conjunctivochalasis, infection (i.e. dacryocystitis), rhinitis, and in neonates or infants, failure of the nasolacrimal duct to open. Another cause could be poor reconstruction of the nasolacrimal duct system after trauma to the area. Cause of trauma could be facial fractures (including nasoethmoid fractures or maxillary Le Fort fractures), and soft tissue trauma involving the nose and/or the eyelid Ref : ak khurana 6th edition